All are seen in Marasmus EXCEPT:
1. Muscle wasting
2. Hepatomegaly
3. Low insulin
4. None of the above

Correct answer: 2. Hepatomegaly

Explanation: Ans. (b) Hepatomegaly Ref: OP Ghai 8th ed./99 * Marasmus is characterized by failure to gain weight and irritability, followed by weight loss and listlessness until emaciation results. The skin loses turgor and becomes wrinkled and loose as subcutaneous fat disappears. Loss of fat from the sucking pads of the cheeks often occurs late in the course of the disease; thus, the infants face may retain a relatively normal appearance compared with the rest of the body, but this, too, eventually becomes shrunken and wizened. * The abdomen may be distended or flat, with the intestinal pattern readily visible. There is muscle atrophy and resultant hypotonia. * Kwashiorkor is characterized by development of pedal edema which can mask weight loss. Dietary protein deficiency leads to brain damage and apathy, and/or irritability. When advanced, there is lack of growth, lack of stamina, loss of muscle tissue, increased susceptibility to infections, vomiting, diarrhea, anorexia, flabby subcutaneous tissues, and edema.. It is often present in internal organs before it is recognized in the face and limbs. * HEPATOMEGALY DUE TO FATTY LIVER IS SEEN with FLAG SIGN ON HAIR and Skin showing FLAKY PAINT DERMATOSIS (fig).